About colostrum true statements are:a) Secreted after 10 days of childbirthb) Rich in immunoglobulinc) Contains more proteind) Contains less fate) Daily secretion is about 10 ml/day
1. abc
2. acd
3. ac
4. bcd

Correct answer: 4. bcd